MRSA is resistant to:
1. Vancomycin
2. b lactams
3. Linezolid
4. Meropenems

Correct answer: 2. b lactams

Explanation: Ref: Sharma & Sharma 3nl ed. P 733* No b Lactams are effective against MRSA, EXCEPT 5th generation cephalosporins like Ceftaroline and Ceftibiprole.* DOC for MRSA: Vancomycin* DOC for VRSA: Daptomycin* Drugs used in VRSA: Quinpristin, Daptomycin, Linezolid